Wof gland is impacted in Fox Fordyce disease
1. Sebaceous glands
2. Eccrine glands
3. Pilosebaceous units
4. Apocrine glands

Correct answer: 4. Apocrine glands

Explanation: Fox-Fordyce Disease * Chronic pruritic disorder of the apocrine glands due to obstruction and dilation * Intensely pruritic, dome-shaped flesh-colored follicular papules in axillae, +- anogenital and periareolar skin Treatment:- Topical and intralesional corticosteroids, topical tretinoin, cleocin lotion. Ref:- Sima Jain; pg num:-99